Nasion is situated at
1. Frontonasal suture
2. Zygomatic process
3. Orbital floor
4. None of above

Correct answer: 1. Frontonasal suture